Normal transit time of keratinocytes is
1. 3 weeks
2. 4 weeks
3. 5 weeks
4. 6 weeks

Correct answer: 2. 4 weeks

Explanation: Transit time is the time required for the basal cells to reach uppermost part of epidermis,which is 4 weeks.It is decreased in psoriasis.